Carcinoma breast spread to other breast is more common in which of the Carcinoma breast:
1. Lobular carcinoma
2. Scirrhous Carcinoma
3. Both of the above
4. None of the above

Correct answer: 1. Lobular carcinoma

Explanation: Invasive lobular carcinoma accounts for 10% of breast cancers. LCIS(LOBULAR CARCINOMA IN SITU) originates from the terminal duct lobular units and develops only in the female breast. It is characterized by distention and distortion of the terminal duct lobular units by cancer cells, which are large but maintain a normal nuclear:cytoplasmic ratio. Cytoplasmic mucoid globules are a distinctive cellular feature. LCIS may be observed in breast tissues that contain microcalcifications, but the calcifications associated with LCIS typically occur in adjacent tissues. This neighborhood calcification is a feature that is unique to LCIS and contributes to its diagnosis. Scirrhous carcinoma of the breast is a subtype of invasive ductal carcinoma not otherwise specified and present as a hard lump. Ref : Hunt K.K., Newman L.A., Copeland E.M., Bland K.I. (2010). Chapter 17. The Breast. In T.R. Billiar, D.L. Dunn (Eds), Schwartz's Principles of Surgery, 9e.